The anticoagulant activity of warfarin can be potentiated by all of the following except
1. Aspirin
2. Disulfiram
3. Rifampin
4. Phenylbutazone

Correct answer: 3. Rifampin

Explanation: Rifampin induces the hepatic mixed function oxidases that metabolize warfarin. Platelet inhibitors, such as aspirin, increase the anticoagulant effect of warfarin. Phenylbutazone can transiently increase the level of free warfarin by displacing it from the plasma albumin binding site. Cimetidine inhibits warfarin metabolism and causes potentiation of the anticoagulant. Ref: SHARMA N SHARMA chapter 10 blood and blood products.